Odynophagia is -
1. Pain during swallowing
2. Difficulty in swallowing
3. Bad odour from mouth
4. Psychiatric disease

Correct answer: 1. Pain during swallowing

Explanation: Dysphagia : - Difficulty in swallowing.
Odynophagia : - Swallowing causes pain.